CD8 antigen is present on
1. T helper cells
2. B cells
3. T suppressor cells
4. Macrophages

Correct answer: 3. T suppressor cells

Explanation: CD4 antigen is present on t helper cells Cd8 antigen on T suppressor cells CD8 cells recognize MHC class I antigens Ref: Textbook of Microbiology Baveja 5th ed Pg 135